The expelled products in ectopic pregnancy originate from :
1. Decidua basalis
2. Decidua vera
3. Chorionic villi
4. Decidua Capsularis

Correct answer: 2. Decidua vera

Explanation: Decidua vera